Bainbridge reflex is due to:-
1. Stretching of atria
2. Baroreceptor reflex
3. Decreased venous return
4. Increased ventricular activity

Correct answer: 1. Stretching of atria

Explanation: Bainbridge reflex: Increase in atrial pressure causes increase in heart rate by nervous reflex called Bainbridge reflex 40 - 60 % increase in rate is due to this reflex while 15% increase is by direct effect of increased atrial volume to stretch sinus node. Stretch receptors of atria that elicit Bainbridge reflex transmit their afferent signals through vagus nerve to medulla of brain. These efferent signals are transmitted back through vagal & sympathetic nerves to increase H.R & strength of heart contraction. This reflex helps prevent damming of blood in atria, veins & pulmonary circulation Best known nerve mechanisms for arterial pressure control Reflex is initiated by stretch receptors called baroreceptors /pressoreceptors located at specific points in walls of several large systemic arteries A rise in arterial pressure stretches baroreceptor & causes them to transmit signals into CNS. "feedback" signals are then sent back through autonomic nervous system to circulation to reduce arterial pressure downward towards the normal level